At the physiological pH the DNA molecules are
1. Positively charged
2. Negatively charged
3. Neutral
4. Amphipathic

Correct answer: 2. Negatively charged

Explanation: Ans. is 'b' i.e. Negatively charged DNA molecules are negatively charged, this is evident as it is stained by a cationic (positively charged) dye.Read the following lines for Ronald Hoffman Hematology:"Anionic cellular elements (nuclear DNA) reacts with cationic dye (Methylene blue)"